A 60-year-old man with rheumatic mitral stenosis and atrial fibrillation is on therapy for a fast ventricular rate. While on treatment he develops a regular pulse of 64 beats/min. Which of the following is the probable drug that the patient is receiving?
1. Verapamil
2. Digoxin
3. Carvedilol
4. Propranolol

Correct answer: 2. Digoxin

Explanation: Ans. (B) Digoxin(Ref: KDT 8th/e p561)Digitalis is used to control ventricular rate in atrial fibrillation. It increases the refractoriness of AV node and decreases the conduction through AV node.